Which of the following metal ions is associated with secondary Parkinsonisms
1. Mangnese
2. Magnesium (Mg)
3. Selenium (Se)
4. Molybednum (Me)

Correct answer: 1. Mangnese

Explanation: Manganese ion exposure is implicated in the free radical damage of the basal ganglia causing Parkinsonism. Toxins Implicated in Parkinsonism Manganese (Mn) MPTP (1 Methyl - > Phenyl -1, 2, 3, 6 tetrahydropyridine) Carbonmonoxide Carbondisulphide Ctanide Hexane Methanol Toxins reported to induce Parkinonism: (Handbook of Atypical Parkinsonism) Betel nut (plus antiPsychotics) Carbon monoxide Contrast agent for cardiac catheterization Cyanide Ethanol intoxication, ethanol withdrawal Ethylene glycol Herbicides (paraquat, diquat, glyphosate) Heroin Hydrogen sulfide Kava-kava Manganese REF: Harrison book of internal medicine 21ST EDITION